A child presents with gelastic seizures, precious puberty. MRI shows small pedunculated mass attached to tuber cinerum. What is the diagnosis?
1. MC cune albright syndrome
2. Kallman syndrome
3. Hypothalamic hamartoma
4. Prader willi syndrome

Correct answer: 3. Hypothalamic hamartoma

Explanation: Hypothalamic hamartoma :

Most common brain lesion causing central precocious puberty.
Consists of ectopically located neural tissue.
May be associated with gelastic seizures (laughing spells).
MRI - small pedunculated mass attached to cinerum or floor of 3rd ventiricle.